Rhabditiform  larvae in freshly passed stools are seen with -
1. Toxoplasma
2. Trichuris
3. Ankylostoma
4. Strongyloides

Correct answer: 4. Strongyloides